All changes occur in fibroid uterus. Except -
1. Atrophy
2. Squamous metaplasia
3. Hyaline degeneration
4. Calcification

Correct answer: 2. Squamous metaplasia

Explanation: Ans. is 'b' i.e. Squamous metaplasia (Ref : Shows, 13/e, p 339-341 (12/e, p 278)).Changes seen in case of fibroid uterus areAtrophyCalcareous degenerationSarcomatous changeHyaline degenerationComplication associated with myomas areTorsionInversionInfectionCapsular HaemorrhageSquamous metaplasia is given nowhere as a complication or changes associated with myoma*.